Which of the following is used for 'Figure of eight' wiring for stabilization of subluxated teeth in alveolar injuries:
1. 0.23mm stainless steel wire
2. 0.35mm stainless steel wire
3. 0.45mm stainless steel wire
4. 0.55mm stainless steel wire

Correct answer: 2. 0.35mm stainless steel wire